All are features of tabes dorsalis, except -
1. Ataxia
2. Argyll Robertson's pupil
3. Bladder disturbances
4. Hyperreflexia

Correct answer: 4. Hyperreflexia